Alpha 2 agonist causes all except:
1. Anxiolysis
2. Sedation
3. Analgesia
4. Hyperalgesia

Correct answer: 4. Hyperalgesia

Explanation: Ans. D. Hyperalgesiaa. The alpha-2 adrenergic receptor is a G protein-coupled receptor (GPCR). Catecholamines like nor-epinephrine (noradrenaline) and epinephrine (adrenaline) signal through the alpha2-adrenergic receptor in the central and peripheral nervous systems.b. Alpha-2 agonists provide sedation, analgesia, muscle relaxation and anxiolysis.